IUCD is contraindicated in :
1. Anemia
2. Hypertension
3. Infection
4. All of the above

Correct answer: 3. Infection

Explanation: Infection